Organs mostly involved in blast injury ?
1. Solid organs
2. Hollow viscus
3. Skeletal system
4. Muscles

Correct answer: 2. Hollow viscus

Explanation: Ans. is 'b' i.e., Hollow viscus There is barotrauma to air filled hollow organs.